Drug which acts on motilin receptors?
1. Erythromycin
2. Tetracycline
3. Norfloxacin
4. Chloramphenicol

Correct answer: 1. Erythromycin